Hemoproteins are a) Cytochrome Cb) Cytochrome 450c) Myoglobind) Hemoglobine) Catalase
1. abcde
2. bc
3. abc
4. bcde

Correct answer: 1. abcde

Explanation: Hemoproteins (Proteins containing heme prosthetic group) are hemoglobin, myoglobin, cytochromes (cytochrome C, cytochrome p456), catalase, peroxidase, tryptophan pyrrolase and nitric oxide synthase.